Erotomania is a
1. Mood disorder
2. Impulse control disorder
3. Delusional disorder
4. Personality disorder

Correct answer: 3. Delusional disorder

Explanation: Erotomania: Synonym for delusions of love. Erotomanic (De Clerambault syndrome): In erotomania, is also referred to as de Clerambault syndrome it is also called as psychose passionelle. here the patient has the delusional conviction that another person the person on whom the patient has a delusion is usally from a higher status or a celebrity the patient is usually socio economically deprived the patient beleives that person in the higher status usally initiates the love proposal. inspite of the patient and the person not having any contacy, patient beleives that the person sends hidden messages that the patient alone can understand the persons on which the delusions are built are stalked and there is even risk of homicide. Besides being the key symptom in some cases of delusional disorder, it is known to occur in schizophrenia, mood disorder, and other organic disorders. Reference: Kaplan & Sadock's Synopsis of Psychiatry, 11th edition, Page 336.